Chvostek's sign is elicited by:
1. Facial nerve stimulation by tapping over the parotid
2. BP cuff in arm for 5 minutes
3. Tapping over extensor policies brevis
4. Tapping over flexor retinaculum

Correct answer: 1. Facial nerve stimulation by tapping over the parotid

Explanation: Chvostek sign This can be elicited by tapping over the facial nerve when it is entering into the parotid gland. This will cause twitching of facial musculature. The sign is referred to as Chvostek sign. It is seen in patients with hypocalcemia due to irritability of nerves But it can be seen in ~10% of normal individuals also